After taking a drug a patient developed some abdominal problem for which he consulted a physician, who adviced X-ray. X ray findings was radiopacity in bowel. Probably he might have taken A/E:
1. Salicylate
2. Iron
3. Phenothiazine
4. Corticosteroid

Correct answer: 4. Corticosteroid

Explanation: D i.e. Corticosteroid